Which of the following is true regarding non-shivering thermogenesis?
1. ATP is burned for heat production
2. Glucose is oxidased to lactate
3. Fatty acids uncouple oxidation from phosphorylation
4. Proteins are broken down to generate heat

Correct answer: 3. Fatty acids uncouple oxidation from phosphorylation

Explanation: Long chain free fatty acids are examples for physiological uncouplers. They have a role in non-shivering thermogenesis.